Which of the following solution is recommended for TMJ Arthrocentesis:
1. Normal saline.
2. Ringer lactate.
3. Distilled water
4. None.

Correct answer: 2. Ringer lactate.

Explanation: Liquid: